Which of the following do not penetrate cornea?
1. Gonococci
2. Neisseria meningitis
3. Pseudomonas
4. Corynebacterium diphtheria

Correct answer: 3. Pseudomonas

Explanation: Ans. (c) PseudomonasRef: Yanoff& Ducker-ophthalmology 2nded p 04, Khurana 4,hed./ 92